A line of conjunctival inflammation on lower eye lid margin is diagnostic of -
1. Measles
2. Rubella
3. Kawasaki disease
4. Infectious monouncleosis

Correct answer: 1. Measles

Explanation: Ans. is 'a' i.e., Measles It is called Steiner's line and is seen in measles